Phospho-dephosphorylation of phosphofructokinase and fructose 1, 6, biphosphatase by fructose 2, 6, Biphosphate regulation is seen in:
1. Bran
2. Liver
3. Adrenal Cortex
4. RBC

Correct answer: 2. Liver

Explanation: B i.e. Liver